In the case of Hanging neck ligature marks are an example of
1. Contusion
2. Pressure abrasion
3. Laceration
4. Bruise

Correct answer: 2. Pressure abrasion

Explanation: Ligature mark is a type of pressure /imprinted/ contact/patterned abrasion.
Some important facts:-

Patterned abrasions are any impact or pressure abrasions which reproduce the pattern of the object causing it.
Thus an impact abrasion may be a pattern abrasion if it reproduces the pattern of the object, e.g. a pattern of radiator grill (after hit by a car) is a type of impact abrasion and at the same time, it is a patterned abrasion as it is reproducing the pattern of radiator grill.
Similarly, a pressure abrasion may be a patterned abrasion if it reproduces the pattern of the object, e.g. ligature mark in hanging or strangulation is a pressure abrasion and at the same time it is also a patterned abrasion.